After a meal rich in carbohydrate, insulin secretion is stimulated by
1. CCK
2. Serotonin
3. VIP
4. GLP-1 (7-36) amide

Correct answer: 4. GLP-1 (7-36) amide

Explanation: D i.e. GLP-1 (7-36) amide